Two weeks after an injury to his right eye, a boy presents with bilateral pain and redness, most probable diagnosis is -
1. Sympathetic ophthalmitis
2. Endophthalmitis
3. Optic neuritis
4. Glaucoma

Correct answer: 1. Sympathetic ophthalmitis

Explanation: Sympathetic ophthalmitis is the only condition in which injury occurs to one eye (exciting eye), but symptoms develop in other eye (sympathizing eye) too.
This boy developed pain and redness in both eye after injury to right eye. This can occur only in sympathetic ophthalmitis.